Dicumarol is a drug that impairs the utilization of vitamin K by the liver. Dicumarol therapy, therefore, would decrease the plasma concentration of which of the following procoagulants
1. Prothrombin
2. Fibrinogen
3. Antihemopilic factor (factor VIII)
4. Ac - globulin (factor V)

Correct answer: 1. Prothrombin

Explanation: Ans. (a) ProthrombinRef: Ganong, 25th ed/p.567Factor II is also called Prothrombin. It is a vitamin K dependent factorWarfarin - acts by inhibiting Vitamin K Epoxide reductase (VKORC1)